Which among the following is NOT true regarding lifestyle modifications in managing essential hypertension as recommended under AHA 2019 guidelines?
1. Low potassium diet
2. Dietary sodium intake < 1.5g /day
3. DASH type of diet
4. Limit alcohol consumption

Correct answer: 1. Low potassium diet

Explanation: Lifestyle Modification(Non-pharmacological Interventions) Weight loss Goal: Optimum goal is ideal body weight but can expect 1mm Hg for every 1kg reduction Diet DASH diet: Fruits and vegetables, whole grains, low-fat dairy products, reduced saturated and total fat Other diets with supportive evidence Low in calories from carbohydrates High-protein diets Vegetarian diets Mediterranean dietary pattern Low Sodium diet: Goal <1500 mg/d, but aim for at least a 1000-mg/d reduction High Potassium diet : Goal 3500 to 5000 mg/d, preferably through diet Exercise- Recommend structured exercise program Aerobic:90-150 min/wk;65%-75% heart rate reserve Dynamic resistance and Isometric resistance also shown to lower BP Alcohol Reduction (drink = 12 oz regular beer / 5 oz wine / 1.5 oz distilled spirits ) Women:<=1 drink per day Men:<=2 drink per day